Carbon monoxide poisoning causes which type of hypoxia?
1. Anemic hypoxia
2. Hypoxic hypoxia
3. Stagnant hypoxia
4. Histotoxic hypoxia

Correct answer: 1. Anemic hypoxia

Explanation: Ans: A (Anemic hypoxia) Ref: Pal GK. Hypoxia and Oxygen Therapy, In: Textbook of Medical Physiology, 2nd ed, Ahuja Publishing House 2011; 94: 754-55Explanation:HypoxiaHypoxia is O2 deficiency at the tissue level.TypesHypoxic hypoxia - PO2 of the arterial blood is reduced. Eg:deg High altitude (low PCX in inspired air)deg Hypoventilation (airway obstruction. respiratory muscle paralysis)- Anemic hypoxia - arterial PO2 is normal but the amount of hemoglobin available to earn.' O2 is reduced. Eg:deg Anemiadeg Carbon monoxide poisoning - CO has more affinity (for Hb) than O2; release of CO from CO-Hb is slow; hence O2 cannot bind with Hbdeg Altered Hb - MethemoglobinStagnant or ischemic hypoxia - blood flow to a tissue is so low that adequate O2 is not delivered to it despite a normal PO2 and hemoglobin concentration Eg:deg Heart failure, shock, vascular obstructionHistotoxic hypoxia - amount of O2 delivered to a tissue is adequate, but because of the action of a toxic agent, the tissue cells cannot make use of the O, supplied to them Eg:deg Cyanide poisoningdeg Diphtheria